All of the following are components of developer except:
1. Developing agent
2. Activator
3. Restrainer
4. Hardener

Correct answer: 4. Hardener